Length of inguinal canal -
1. 2.5 cm
2. 4 cm
3. 10 cm
4. 15 cm

Correct answer: 2. 4 cm